The number of fontanelles present in a newborn child is:
1. 1
2. 2
3. 4
4. 6

Correct answer: 4. 6

Explanation: 6 fontanelles are present in fetal skull:

Anterior fontanelle (bregma) – 1
Posterior fontanelle (lambda) – 1
Anterolateral fontanelle – 1
Posteriolateral fontanelle – 1